Which among the following is not a type of wax:
1. Casting wax.
2. Utility wax.
3. Carding wax.
4. Japan wax.

Correct answer: 4. Japan wax.

Explanation: Japan wax and cocoa butter are fat.